All are used in brachytherapy EXCEPT:
1. I125
2. I131
3. Cs137
4. Iridium 192

Correct answer: 2. I131

Explanation: ANSWER: (B) I131REF: APPENDIX-67 for "ISOTOPES USED IN RADIOTHERAPY" APPENDIX - 67Isotopes Used in RadiotherapyIsotopeHalf LifeUsesTechnetium 996 hoursBone scanCobalt 60 (Artificial)5.27 yearsTeletherapy & BrachytherapyIodine 12313 hoursRadioactive iodine uptakeIodine 12560 daysBrachytherapy (P)Iodine 1318 daysRadiotherapyIodine 1322.3 hours (min) Radium1622 years (max)Not used now a daysAu 198 (gold)2.7 daysBrachytherapy (P)Pd 103 (palladium)17 daysBrachytherapy (P)Cesium 1319.7 daysBrachytherapy (P)Cesium 13730 yearsTeletherapy 81 Brachytherapy (T)Iridium 192 (Artificial)74 daysBrachytherapy (T)Strontium 9029 yearsBrachytherapy (T)Radon 2223.8 daysBrachytherapy (T)Brachytherapy can be of two types, permanent implant (P) or temporary implant (T)